All of following features are seen in the viral pneumonia except :
1. Presence of interstitial inflammation
2. Predominance of alveolar exudates
3. Bronchiolitis
4. Multinucleate gaint cells in the bronchiolar wall

Correct answer: 2. Predominance of alveolar exudates

Explanation: Atypical pneumonia
Acute viral pneumonias or interstial pneumonias are sometimes called atypical pneumonias because the typical features of air space pneumonia are not present in them.
The term ‘atypical” denotes
The moderate amount of sputum.
Only moderate elevation of white cell count.
No physical findings of consolidation
Lack of alveolar exudates.
Acute interstitial pneumonias result from infection by agents that are predominantly obligate intracellular pathogens.
Infections with these organisms evokes an acute inflammation that is usually restricted to the interstitium without involvement of the alveolar spaces.